Following are components of District mental Health program except:-
1. Training
2. Public awareness
3. Record keeping
4. Screening

Correct answer: 4. Screening

Explanation: Screening is not a component of District mental Health program. DISTRICT MENTAL HEALTH PROGRAMME (DMHP):- Launched under NMHP in 1996. (IX five year plan) DMHP was based on 'Bellary Model' with the following components: Early detection & treatment. Training: imparting short term training to general physicians for diagnosis and treatment of common mental illnesses with limited number of drugs under guidance of specialist; health workers are being trained in identifying mentally ill persons. IEC: Public awareness generation. Monitoring: the purpose is for simple record keeping.